The most important use of transrectal ultarsonography (TRUS) is for -
1. Screening for Ca prostate
2. Distinguishing prostate cancer from BPH
3. Systematic prostate biopsy in suspected prostate cancer
4. Guiding transurethral resection of prostate cancer

Correct answer: 3. Systematic prostate biopsy in suspected prostate cancer

Explanation: Ans. is 'c' i.e., Systematic prostate biopsy in suspected prostate